A patient with alkaline urine which is cloudy with plenty of pus cells is suffering from:
1. E. coli
2. Proteus
3. TB
4. None

Correct answer: 2. Proteus

Explanation: Ans: b (Proteus)Ref: Bailey & Love, 24th ed, p. 1324 & 23rd ed, p. 1191Proteus and Staphylococcus split urea, forming ammonia which makes the urine alkaline and promotes formation of calculi.